Increased perinatal mortality in diabetic pregnancy is due to:
1. Congenital malformations
2. Hypoglycemia
3. Hyaline membrane disease
4. All of the above

Correct answer: 4. All of the above

Explanation: All of the above